Water based disease is
1. Dracunculiasis
2. Scabies
3. Typhoid
4. Malaria

Correct answer: 1. Dracunculiasis